Hydrops fetalis is associated with?
1. Hepatitis B
2. Parvovirus B 19
3. Malaria
4. Tuberculosis

Correct answer: 2. Parvovirus B 19

Explanation: ANSWER: (B) Parvovirus B 19REF: Williams Obstetrics 22nd edition Table 29-8, Harrisons Internal Medicine 17th edition Chapter 177. Parvovirus InfectionsB19 infection during pregnancy can lead to hydrops fetalis and/or fetal loss. The risk of transplacental fetal infection is 30%, and the risk of fetal loss (predominantly early in the second trimester) is 9%. The risk of congenital infection is <1%.Infections causing non-immune hydrops:CytomegalovirusToxoplasmosisSyphilisCongenital hepatitisRubellaParvovirus B 19LeptospirosisChagas disease